Which of the following areas is less likely to play a role in depressive disorder?
1. Amygdala
2. Hippocampus
3. Anterior cingulate cortex
4. Corpus callosum

Correct answer: 4. Corpus callosum

Explanation: The important structures playing a role in depressive disorder are: * Amygdala Hippocampus Anterior cingulate cortex Dorsomedial prefrontal cortex Ventromedial prefrontal cortex Orbital prefrontal cortex